Not a function of eye collection centre
1. Local publicity
2. Registration of voluntary donors
3. Arrangement for collection of eyes after death
4. Processing of the donor eyes

Correct answer: 4. Processing of the donor eyes

Explanation: Processing of donor eyes are done by eye bank Functions of eye collection centre A. Local publicity B. Registration of voluntary donors C. Arrangement for collection of eyes after death D. Transportation of eye to eye bank